25 years old 2nd gravida with B negative blood group reaches in labour room in full dilatation. All the following norms to be followed except
1. Cord blood to be saved in 2 l - plain & EDTA l
2. Early clamping of cord
3. Avoidance of manual removal of placenta
4. Liberal prophylactic use of ergometrine

Correct answer: 4. Liberal prophylactic use of ergometrine

Explanation: Use of ergot derivatives is contraindicated in Rh negative mother to avoid chances of feto-maternal micro transfusions. ref Katzung 12 th ed.